The 'beading' appearance is seen in the condition:
1. Chronic pancreatitis
2. Acute pancreatitis
3. Gall stone ileus
4. Sub-acute intestinal obstruction

Correct answer: 1. Chronic pancreatitis

Explanation: In chronic pancreatitis, the pancreatic duct may show beading or a chain-of-lakes or string-of-pearls appearance because of alternating stenosis and dilatation of the pancreatic duct. Other features of chronic pancreatitis include strictures, cysts and ductal calculi.